Average head circumference at birth is ?
1. 35 cm
2. 40 cm
3. 45 cm
4. 50 cm

Correct answer: 1. 35 cm

Explanation: O.P. Ghai 9th ed, page 14 Beginning at 34 cm at birth, the head circumference increases approximately 2 cm per month for first 3 months, 1 cm per month from 3-6 months and 0.5 cm per month for rhe rest of the first year of life.